Most common cause of Abdominal aneurysm is:
1. Atherosclerosis
2. Trauma
3. Marfan's syndrome
4. Congenital

Correct answer: 1. Atherosclerosis

Explanation: Answer is A (Atherosclerosis) Atherosclerosis is the major etiological factor in abdominal aortic aneurysm - Robbins Remember: Atherosclerotic aneurysms most frequently occur in the Abdominal aorta.Q Most common site of abdominal aortic aneurysm is above the bifurcation of aorta and below the renal arteries.Q Most common age group for abdominal aortic aneurysm depends is elderly(> 50 years). Risk' of rupture of an abdominal aortic aneurysm depends upon its size (aneurysm larger than 5 cm are classified as dangerousQ) Most common source of infection in a Mycotic abdominal aortic aneurysm is Bacteremia Q from a primary Salmonella gastro-enteritis.Q (Mycotic aneurysm are abdominal aortic aneurysm that have become infected by lodgment of circulating organisms in the wall)